Fluorescent dye for ophthalmological diagnosis is injected in:
1. Antecubital vein
2. Popliteal vein
3. Femoral vein
4. Subclavian vein

Correct answer: 1. Antecubital vein

Explanation: A i.e. Ante-cubital vein In Fluorscein angiography for diagnosis of ophthalmological diseases dye is injected through Cubital VeinQ